First internal sign of putrefaction is found
1. Below the liver
2. In mediastinum
3. Below the spleen
4. In kidney

Correct answer: 1. Below the liver

Explanation: A i.e. Below the liver